8 yrs. old child presents with lethargy multiple epiphyseal breaks, wormian bones with growth retardation and intellectual disability Diagnosis is?
1. Rickets
2. Hypothyroidism
3. Scurvy
4. Hypoparathyroidism

Correct answer: 2. Hypothyroidism

Explanation: Ans. is 'b' Hypothyroidism (Ref. : O.RGhai, 6/e, p 482 (5/e, p447))Presence of intellectual disability, growth retardation and wormian bones clinch the diagnosis in favour of hypothyroidism.In Hypothyroidism both intellectual disability * and growth retardation * are present andthe skull X-ray shows large fontanelle, wide sutures * and wormian bones *Rickets -Wormian bones are also present in rickets but intellectual disability is not seen in ricketsScurvy and Hypoparathyroidism have a radically different symptomatic profile.Important causes of wormian boneHypothyroidism *Hypophosphatasia *Rickets *Cleidocranial dysplasia *Osteogenesis imperfecta *